Median weight of 100 children was 16 kgs. The standard deviation was 8.calculate the percentage coefficient of variance
1. 50%
2. 35%
3. 45%
4. 55%

Correct answer: 1. 50%

Explanation: Coefficient of Variation (COV)* COV = SD x 100 Mean or Median SD is expressed as a percentage of mean or median. CV=SD/MEAN x 100= 8/16 x 100= 50%